Wavelength of ND: Yag laser -
1. 1064 nm
2. 532 nm
3. 1040 nm
4. 1064 pm

Correct answer: 1. 1064 nm

Explanation: Wavelength = 1064nm Mechanism : photocoagulation Uses : eyelid hemamgioma, CRAO, PRP, ARMD. REF:AK KHURANA 6THE PG462